Space lattice refers to:
1. Inter atomic movement
2. Inter atomic imbalance
3. Arrangement of atoms
4. Arrangement of molecules

Correct answer: 3. Arrangement of atoms